Which of the following is a capnophilic bacteria?
1. Staphylococcus aureus
2. Mycobacterium
3. Clostridium
4. Haemophilus influenzae

Correct answer: 4. Haemophilus influenzae

Explanation: Ref: Textbook of Diagnostic Microbiology, E-book, P 14* Capnophilic bacteria: Organisms which thrive on the high concentration of CO2 . They require 5-10% of CO2 . For example, Haemophilus influenzae, Neisseria.* Facultative anaerobe: These are capable of growing under both aerobic and anaerobic conditions. For example, Staphylococcus aureus.* Obligate anaerobe: These organisms grow only under non-oxygen environment. Oxygen is toxic for these organisms. For example, Clostridium.* Obligate aerobe: There is absolute requirement of oxygen for survival for this type of organism. For example, Mycobacterium.